All are true regarding fetal hydantoin syndrome except :
1. Digital hypoplasia
2. Macrocephaly
3. Microcephaly
4. Cleft lip

Correct answer: 2. Macrocephaly

Explanation: Macrocephaly is not a feature of fetal hydantoin syndrome Fetal hydantoin syndrome Phenytoin is teratogenic Features : Hypoplastic phalanges Cleft palate Harelip Microcephaly Due to arene-oxide metabolite